What is not seen in tuberous sclerosis?
1. Giant Cell Astrocytoma
2. White matter migration lines
3. Sub-ependymal nodules
4. Ependymoma

Correct answer: 4. Ependymoma

Explanation: Major features of TSC Minor features of TSC Facial angiofibromas or forehead plaque Non-traumatic ungual or periungual fibroma Hypomelanotic macules (>3) Shagreen patch Multiple retinal nodular hamartomas Cortical tuber Subependymal nodule Subependymal giant cell astrocytoma Cardiac Rhabdomyoma, single or multiple Lymphangioleiomyomatosis Renal angiomyolipomas Multiple randomly distributed pits in dental enamel Hamartomatous rectal polyps Bone Cysts Cerebral white matter radial migration lines Gingival fibromas Retinal achromic patch "Confetti" skin lesions Multiple renal cysts Diagnostic criteria for TSC: A.Definite TSC - 2 major or one major+ >=2 minor features. B. Possible TSC - Either 1 major or >=2 minor features.